Sign of diabetic ketoacidosis is-
1. Loss of sweating
2. Depression
3. Dehydration
4. Absent deep tendon reflexes

Correct answer: 3. Dehydration

Explanation: Physical findings of diabetic ketoacidosis are tachycardia, dehydration/hypotension, hypothermia, tachypnea/Kussmaul respirations/ respiratory distress, abdominal tenderness (may resemble acute pancreatitis or surgical abdomen), lethargy/obtundation/cerebral edema/possibly coma. Reference : page 2418 Harrison's Principles of Internal Medicine 19th edition